Which one of the following is a DUAL RECORD SYSTEM consisting of continuous enumeration of birth and death by numerator and which indicates survey every six months?
1. Census
2. Civil registration system
3. Sample registration system
4. Model registration system

Correct answer: 3. Sample registration system